Anti-Saccharomyces cerevisiae antibodies are seen in?
1. Crohn's disease
2. Scleroderma
3. SLE
4. Sjogren's syndrome

Correct answer: 1. Crohn's disease

Explanation: ANSWER: (A) Crohn's diseaseREF: Harrison's Internal Medicine 17m edition chapter 289. Inflammatory Bowel DiseaseAnti-Saccharomyces cerevisiae antibodies (ASCA), along with perinuclear antineutrophil cytoplasmic antibodies (pANCA), are among the two most useful and often discriminating markers for colitis. ASCA tends to recognize Crohn's disease more frequently, whereas pANCA tend to recognize ulcerative colitis